Hepatitis B infectivity is indicated by:
1. Anti-HBsAg
2. HBsAg + HBeAg
3. Anti-HBsAg - Anti-HBc
4. Anti-HBeAg + Anti-Hbs Ag

Correct answer: 2. HBsAg + HBeAg

Explanation: Answer is B (HBs Ag + HBe Ag) HBe Ag: Its principal clinical usefulness is an indicator of relative infectivity - Harrison HBs Ag: Its presence in serum indicates infection /pervious vaccination with hepatitis B virus. HBs Ag Anti- HBsAg Anti Hbe HBe Ag Anti-Hbe Acute HBV infection High infectivit - IgM + - Chronic HBV infection High infectivity + - IgG + - Thus, the presence of the above two markers indicate an infection with hepatitis B virus and high infectivity. Q Whether the infection is acute or chronic can, however, only be commented if status of anti-HBe marker is dear.